Catastrophic reaction is feature of:
1. Dementia
2. Delirium
3. Schizophrenia
4. Anxiety

Correct answer: 1. Dementia

Explanation: Catastrophic reaction: is a feature of dementia may result in an emotional outburst in a patient of dementia when he gets aware about his intellectual deficits in a stressful situation.